Propanolol is useful in the treatment of all of the following EXCEPT:
1. Angina
2. Partial atrioventricular block
3. Idiopathic hypertrophic subaortic cardiomyopathy
4. Familial tremor

Correct answer: 2. Partial atrioventricular block

Explanation: b blockers can be used in - HTN/MI Angina Cardiac arrythmias Pheochromocytoma Thyrotoxicosis Migraine Anxiety Essential tremor Glaucoma Hypertrophic obstructive cardiomyopathy.